There is a breakout of MRSA in your hospital. What will you do next to prevent the spread of infection?
1. Close the hospital for a month
2. Asking the staff to wash hands thoroughly and frequently
3. Collect nasal swabs to identify MRSA carriers and isolate the patient
4. Clean the floor with chlorhexidine

Correct answer: 2. Asking the staff to wash hands thoroughly and frequently

Explanation: All the mentioned steps have to be done but washing the hands is the next immediate step to prevent the spread of MRSA Ref: Textbook of Microbiology Baveja 5th ed Pg 638